Cause of hydrocele in infants
1. Patent processus vaginalis
2. Patent gubernaculum
3. Impaired drainage
4. Epididymal cyst

Correct answer: 1. Patent processus vaginalis